Glucose transport along cell membranes occurs along with ?
1. K+
2. Na+
3. Cl-
4. HCO3-

Correct answer: 2. Na+

Explanation: Ans. (b) Na+Ref Ganong's 23/e, chapter 28